A 30 years old male from a rural background presents to the ophthalmology clinic with history of difficulty in vision for 10 days. He gives history of vegetative material falling into left eye about 15 days back. On examination an ulcerative lesion in the cornea with feathery margins and creamy exudates is seen. Few satellite lesions were also noted. The most likely diagnosis etiologic agent is:
1. Corynebacterium diphtheriae
2. Fusarium species
3. Acanthomoeba species
4. Streptococcus pneumonia

Correct answer: 2. Fusarium species

Explanation: Ans. (b) Fusarium speciesRef: Parson's 21/e, p. 199; Kanski 7/e, p. 180 - 181; Yanoff 3/e, p. 271History of trauma to eye involving vegetative matter and corneal infiltrate with feathery/fluffy margins is typically of fungal keratitis (Fusarium).